Child presents with sweating, yawning, lacrimation, tachycardia. The likely diagnosis is:
1. Heroin withdrawal
2. Cocaine withdrawal
3. LSD withdrawal
4. Marijuana withdrawal

Correct answer: 1. Heroin withdrawal

Explanation: Characteristics of Opioid Withdrawal: SymptomsSignsRegular withdrawal Craving for opioidsPupillary dilationRestlessness, irritabilitySweatingIncreased sensitivity toPiloerection ("gooseflesh")PainTachycardiaNausea, crampsVomiting, diarrheaMuscle achesIncreased blood pressureDysphoric moodYawningInsomnia, anxietyFeverProtracted withdrawal AnxietyCyclic changes in weightInsomniaPupil size, respiratoryDrug cravingCenter sensitivity Ref: O'Brien C.P. (2011). Chapter 24. Drug Addiction. In L.L. Brunton, B.A. Chabner, B.C. Knollmann (Eds), Goodman & Gilman's The Pharmacological Basis of Therapeutics, 12e.